Which of the following nerves lies closest to the Wharton's duct -
1. Hypoglossal
2. Lingual
3. Chorda tympani
4. Facial

Correct answer: 2. Lingual

Explanation: Ans. is 'b' i.e., Lingual